Which of the following metabolic anomaly is seen in hemorrhagic shock
1. Metabolic Acidosis
2. Respiratory Acidosis
3. Respiratory Alkalosis
4. Metabolic Alkalosis

Correct answer: 1. Metabolic Acidosis

Explanation: Answer- A. Metabolic AcidosisHemorrhagic shock is characterized by lactic acid accumulation causing lactic acidosis/metabolic acidosis.